The over-expression of a trinucleotide repeat causes
1. Parkinson's disease
2. Caisson's disease
3. Addison's disease
4. Huntington's disease

Correct answer: 4. Huntington's disease

Explanation: (D) Huntington's disease > Trinucleotide repeat expansions cause a number of chronic neuro degenerative disease.> Most of them are late onset and cell deaths is prominent in all of them.> The mutations occurs in open reading frames of the gene involved, with the expansions being smaller than those found in the fragile chromosome conditions.> Examples Huntington's disease. Fragile X syndrome. X-linked spino bulbar muscular atrophy. Myotonic dystrophy.